Sunflower type cataract is characteristically seen in:
1. Chalcosis
2. Diabetes
3. Stragardt's disease
4. Congenital syphilis

Correct answer: 1. Chalcosis

Explanation: A i.e. Chalcosis